The first stimulus in IUL for Leydig cells to produce testosterone :
1. LH
2. FSH
3. HcG
4. Progesterone

Correct answer: 3. HcG

Explanation: The first stimulus for leydig cells to produce testosterone is HcG The main stimulus for leydig cells to produce testosterone is LH.